Features of alcohol withdrawal are all except
1. Hypersomnolence
2. Epileptic seizure
3. Restlessness
4. Hallucination

Correct answer: 1. Hypersomnolence

Explanation: The classic sign of alcohol withdrawal is tremulousness, although the spectrum of symptoms can expand to include psychotic and perceptual symptoms (e.g., delusions and hallucinations), seizures, and the symptoms of delirium tremens (DTs). Other symptoms of withdrawal include general irritability, gastrointestinal symptoms (e.g., nausea and vomiting), and sympathetic autonomic hyperactivity, including anxiety, arousal, sweating, facial flushing, mydriasis, tachycardia, and mild hypertension. Ref: Synopsis of Psychiatry, 11th edition, page 630.